Poached egg colony on potassium tellurite agar is characteristic of
1. C. diphtheriae gravis
2. C. diphtheriae intermedius
3. C. diphtheriae mitis
4. C. Jeikeium

Correct answer: 3. C. diphtheriae mitis

Explanation: Daisy head - Gravis
Frog's egg colony - Intermedius
Poached egg - Mitis.